55yr old man with dementia was given a natural alkaloid which of the following?
1. Tacrine
2. Donepezil
3. Galantamine
4. Rivastigmine

Correct answer: 3. Galantamine

Explanation: Ans. is 'c' i.e., Galantamine Galantamine: It is a natural alkaloid which selectively inhibits cereral acetylcholinesterase and has some direct agonistic action on nicotinic receptors as well. It has produced cognitive and behavioural benefits in alzheimers disease.